Inclusion bodies known as metachromatic granules helps the identification of which of the bacteriae?
1. Corynebacterium
2. E.coli
3. Yersinia
4. Pseudomonas

Correct answer: 1. Corynebacterium

Explanation: Corynebacterium contain inclusion bodies, known as metachromatic granules, which are composed of inorganic polyphosphates (volutin) that serve as energy reserves and are not membrane bound. Internal metachromatic granules densely stain ruby red while the rest of the bacillus stains blue, when stained with an aniline dye such as toluidine blue O or methylene blue.